Decreased motility of fallopian tube is seen in which of the following syndromes?
1. Churg-strauss syndrome
2. Kartagener's syndrome
3. Noonan syndrome
4. Turner syndrome

Correct answer: 2. Kartagener's syndrome

Explanation: Kartagener's syndrome is a autosomal recessive disorder leading to a defect in the microtubule arms of the ciliated epethelium. This disorder of the cilia gives rise to the features included in this syndrome like bronchiectasis, sinusitis and decreased motility of the fallopian tubes leading to infertility. Ref: Harrison textbook of internal medicine 17th edition, Page 1629; Davidson's principles of Medicine 19th edition, Pages 521, 1043